Which of the following statements about Recommended Dietary Allowances (RDA) is true
1. RDA is statistically defined as two standard deviations (SD) above Estimated Average Requirement (EAR)
2. RDA is defined as being equal to the Estimated Average Requirement (EAR)
3. RDA is defined as being equal to Adequate Intake (AI)
4. RDA is defined as the recommended minimum requirement

Correct answer: 1. RDA is statistically defined as two standard deviations (SD) above Estimated Average Requirement (EAR)

Explanation: A i.e. RDA is statistically defined as two standard deviations (SD) above Estimated Average Requirement (EAR)